Which of these parts of Vertebral Canal will show secondary curves with concavity backwards
1. Cervical
2. Thoracic
3. Sacral
4. Coccyx

Correct answer: 1. Cervical

Explanation: Fetus - universal flexion - 1deg curvature After birth - Cervical Lordosis - 2deg curvature begins when child starts to gain head stability lumbar lordosis - convex anteriorly begins to appear when child learns to sit. Cervical lordosis - 2deg Thoracic kyphosis - 1deg Lumbar lordosis - 2deg Sacral kyphosis - 1deg